The most appropriate circuit for ventilating a spontaneously breathing infant -
1. Jackson Rees modification of Ayre's T piece
2. Mapleson A or Magill's circuit
3. Mapleson C or water's to & fro canister
4. Bain's circuit

Correct answer: 1. Jackson Rees modification of Ayre's T piece

Explanation: Ayre's T piece is used in infants. The patient inspires fresh gas from the reservoir tube,expires into the reservoir tube. Advantages are they are inexpensive,compact,no valves and low dead space